The main site of bicarbonate reabsorption is:
1. Proximal convoluted tubule.
2. Distal convoluted tubule.
3. Cortical collecting duct.
4. Medullary collecting duct.

Correct answer: 1. Proximal convoluted tubule.

Explanation: A i.e. Proximal convoluted tubuleAbout 80 to 90 percent of bicarbonate reabsorption occurs in the proximal tubuleQ.Segment% HCO3 reabsorbed% Na+ reabsorbedProximal tubule80-90%Q60%QLoop of Henle (thick)10%30%Distal tubule & collecting duct.Remainder10%